Antigen presenting cells present in skin are called
1. Langerhans cells
2. Kupffer cells
3. Microglia
4. Melanocytes

Correct answer: 1. Langerhans cells

Explanation: Ref Robbins 9/e p192 Langerhans cells are dendritic cells (antigen-presenting immune cells) of the skin, and contain organelles called Birbeck granules. They are present in all layers of the epidermis and are most prominent in the stratum spinosum.